Giacomini vein is
1. Posterior thigh extension of GSV
2. Anterior thigh extension of SSV
3. Posterior thigh extension of SSV
4. Anterior thigh extension of GSV

Correct answer: 3. Posterior thigh extension of SSV

Explanation: Giacomini vein is posterior thigh extension of short saphenous vein.